Most common symptom of symptom of alcohol withdrawal is
1. Bodyache
2. Tremor
3. Diarrhoea
4. Rhinorrhea

Correct answer: 2. Tremor

Explanation: The most common withdrawal syndrome is a hangover on the next morning. Mild tremors, nausea, vomiting, weakness, irritability, insomnia and anxiety are the other common withdrawal symptoms. Sometimes the withdrawal syndrome may be more severe, characterised by one of the following three disturbances: delirium tremens, alcoholic seizures and alcoholic hallucinosis. Ref: A Short Textbook of Psychiatry, Niraj Ahuja, 7th Edition, pg. no. 37